Dewey's Modification of the Angle's Class-I Type 2 is?
1. Crowded Anteriors
2. Anterior Crossbite
3. Anteriors in Labioversion
4. Posterior Crossbite

Correct answer: 3. Anteriors in Labioversion